All are true for transplanted kidney except
1. Humoral antibody responsible for rejection
2. CMI is responsible for rejection
3. Previous blood transfusion
4. HLA identity similarity seen in 1:100 people

Correct answer: 4. HLA identity similarity seen in 1:100 people

Explanation: Answer- D. HLA identity similarity seen in 1:100 peopleWithin any particular family, sibling's have a 7:4 chance of being HLA identical. In contrast among unrelatedpeople, the probabilities of HLA identity in several thousand depending upon phenotype involved' It is due to the fact thatHLA complex is inherited intact as two haplotypes.